The toxic agent in 'Tobacco amblyopia' is
1. Nicotine
2. Cyanide
3. Carbondioxide
4. Dinitrozol

Correct answer: 2. Cyanide

Explanation: (Cyanide): Ref: 296-KH (92-P)TOBACCO AMBLYOPIA: -Toxic agent involved cyanide fond in tobacco.Excessive tobacco smoking Decreased cyanide detoxification due to alcoholics dietary deficiency of sulphur rich proteins| |Excessive cyanide in blood | Degeneration of ganglion cells particularly of the macular region | Degeneration of papillo-macular bundle in the nerve | Toxic amblyopia * Bilateral gradually progressive impairment in the central vision* Visual field examination - Bilateral centrocaecal scotomas* Fundus examination is essentially normal or there may be slight temporal pallor of the disc.